Which of the following is not true regarding pseudomembranous  colitis?
1. Antibiotic associated diarrhea eg: 3rd gen cephalosporins .
2. Characterised by pseudomembranes at the site of mucosa injury.
3. Presents as watery diarrhea, abdominal pain and fever
4. Clostridium difficile is the only cause.

Correct answer: 4. Clostridium difficile is the only cause.

Explanation: Though pseudomembranous colitis is clasically caused by clostridium difficile, but also caused by salmonella, clostridium perfringes and saurevs in some cases.